The following are seen in Pneumoperitoneum except
1. Football sign
2. Till-aux sign
3. Rigler's sign
4. Cupola sign

Correct answer: 2. Till-aux sign

Explanation: Signs of Pneumoperitoneum :

Football sign - Collection of air in the centre of abdomen over flied collection.
Rigler's sign - Visualisation of air outling bowel wall on either side.
Cupola sign - Large amount of gas under diaphragm.